Which one predisposes to Breast cancer-
1. Adenosis
2. Fibrosis
3. Blue domed cysts
4. Epitheliosis

Correct answer: 4. Epitheliosis